"La-facies sympathique" is a condition seen in cases of
1. Hanging
2. Strangulation
3. Myocardial insufficiency
4. Railway accidents

Correct answer: 1. Hanging

Explanation: * La facies sympathique occurs in hanging* On postmortem examination, in hanging, usually the eyes are closed or partly open and the pupils are usually dilated.Sometimes, when the ligature knot presses on the cervical sympathetic, the eye on the same side may remain open and its pupil dilated (La, facies sympathiaue). This indicates antemortem hanging.